Histological changes in lens induced uveitis include-
1. Ghost cells
2. Giant cell reaction
3. Amyloid in the cornea
4. Vasculitis

Correct answer: 2. Giant cell reaction

Explanation: Lens induced uveities histological change include gaint cell reaction Ref khurana 6/e